The commonest cause of primary hyperparathyroidism is :
1. Carcinoma parathyroid
2. Solitary adenoma of parathyroid
3. Chronic renal failure
4. Hyperplasia of the parathyroid

Correct answer: 2. Solitary adenoma of parathyroid

Explanation: Ans. is 'b' Parathyroid adenoma (Ref Harrison, 17/e, p 2380 & 16/e, p 2252 (15/e, p 2210)).Most common cause of primary hyperparathyroidism is parathyroid adenoma.